Unequal division of the conus cordis resulting from anterior displacement of the conotruncal septum gives rise to -
1. Persistent truncus arteriosus
2. Coarctation of aorta
3. Tetralogy of Fallot
4. Transposition of great vessels

Correct answer: 3. Tetralogy of Fallot